All are true regarding fungi except:
1. Yeasts are unicellular fungi
2. Candida form pseudomycelium
3. Dermatophytes are filamentous fungi
4. Dimorphic fungi behave as molds in cultures at 37degC

Correct answer: 4. Dimorphic fungi behave as molds in cultures at 37degC

Explanation: Dimorphic fungi show typical thermal dimorphism They are hyaline septate molds at 25degC and yeast at 37degC. Histoplasma capsulatum Blastomyces dermatitidis Sporothrix schenkii Coccidioides immitis Paracoccidioides brasiliensis Penicillium marneffei